Sensory nerve supply of middle ear cavity is provided by:
1. Facial
2. Glossopharyngeal
3. Vagus
4. Trigeminal

Correct answer: 2. Glossopharyngeal

Explanation: (b) Glossopharyngeal(Ref. Scott Brown, 8th ed., Vol 2 page 535)The sensory supply of the middle ear is by the tympanic plexus which is formed by the Jacobson's nerve which is the tympanic branch of Glossopharyngeal (IX) along with sympathetic plexus from around the internal carotid.